Which of the following is the most preferred antirabies vaccine:
1. Duck embryo vaccine
2. NTV from suckling mouse brain
3. HDCV
4. NTV from Sheep brain

Correct answer: 3. HDCV

Explanation: Ans. C i.e. HDCV